All of the following results in increased renin secretion except _____
1. Renal ischaemia
2. Increased amount of Na+ in DCT
3. Decreased amount of Na+ in PCT
4. Decreased afferent arteriolar pressure

Correct answer: 2. Increased amount of Na+ in DCT

Explanation: The increased amount of Na+ and Cl- reabsorption across macula densa (DCT) is inhibitory to renin secretion. All other factors increase renin secretion. Renin leads to a series of events through the Renin-Angiotensin-Aldosterone pathway that finally, in simple terms, leads to salt and water retention and increases blood pressure. Therefore, it is easy to remember that all factors that cause decreased effective volume, pressure or sodium delivery will increase the renin levels and vice versa. Renin is secreted by the juxtaglomerular cells (granular cells) which are epitheloid cells located in the media of afferent arterioles of the glomerulus. Factors that effect renin Secretion Stimulatory Increased sympathetic activity renal nerves Increased circulating catecholamines Prostaglandins Inhibitory Increased Na+ and Cl- reabsorption across macula densa Increased afferent arteriolar pressure Angiotensin II ADH (Vasopressin) Ref: Ganong's Review of Medical Physiology 26th edition Pgno: 693